Which one of the following is the most common cause of abdominal mass in neonates?
1. Neuroblastoma
2. Wilm's tumor
3. Distended bladder
4. Multicystic dysplastic kidneys

Correct answer: 4. Multicystic dysplastic kidneys

Explanation: d. Multicystic dysplastic kidneys(Ref: Nelson's 20/e p 2555, Ghai 8/e p 509)a. Neuroblastoma is the MC extra cranial solid tumor in children & most commonly diagnosed malignancy in infantsb. Wilm's tumor or Nephroblastoma is the most common primary malignant renal tumor of childhood and the second most common malignant abdominal tumor in childhoodc. Distended bladder: examination after voiding rules out swelling due to distended bladderd. Multi cystic dysplastic kidney (MCDK) is the most common cause of an abdominal mass in the newborn, but the vast majority are non palpable at birth.